RCH programme includes -
1. CSSM plus school health
2. CSSM plus family planning
3. CSSM plus ORS
4. None

Correct answer: 2. CSSM plus family planning

Explanation: Ans. is 'b' i.e., CSSM plus family planning